In Carcinoma of cervix lymphatics drain to? 1. Inguinal lymph nodes 2. Femoral lymph nodes 3. Hypogastric lymph node 4. External iliac lymph nodes 5. Obturator lymph nodes
1. 1,2,3 False & 4,5 True
2. 2,3,4 True & 1,5 False
3. 2,3,4 False & 1,5 True
4. 1,2, False & 3,4,5 True

Correct answer: 4. 1,2, False & 3,4,5 True

Explanation: In Ca cervix lymphatics drain to Obturator, External iliac and Hypogastric lymph nodes.